At which level the somites initially form-
1. Thoracic level
2. Cervical level
3. Lumbar level
4. Sacral level

Correct answer: 2. Cervical level

Explanation: The first pair of somites develop a short distance posterior to the cranial end of the notochord, and the rest of the somites from caudally.